Irreversible aromatase inhibitor -
1. Anastrazole
2. Exmestane
3. Letrozole
4. Vorozole

Correct answer: 2. Exmestane

Explanation: Ans. is 'b' i.e., Exmestane Aromatase inhibitors are of two types:o Type I (steroidal) aromatase inhibitor - They cause irreversible inhibition of aromatase, e.g. Exmestane, formestane.o Type II (non-steroidal) aromatase inhibitor - They cause reversible inhibition of aromatasxe e.g. Anastrazole, Letrozole, vorozale.